Highest chance of success in renal transplant is seen when the donor is the -
1. Identical twin
2. Father
3. Mother
4. Sister

Correct answer: 1. Identical twin